Calcitonin is secreted by:
1. Thyroid gland
2. Parathyroid gland
3. Adrenal glands
4. Ovaries

Correct answer: 1. Thyroid gland

Explanation: Calcitonin is primarily secreted by the parafollicular C cells of the Thyroid gland. It is a hormone secreted in response to elevated blood calcium. It stimulates calcium deposition in bone and calcium excretion by the kidneys, thus reducing blood calcium. Ref: Essentials of Pharmacology By K D Tripathi, 5th, Edition, Page 301; Ganong's Review of Medical Physiology, 22nd Edition, Page 393.